Child criteria include A/E  a) Nutritional status b) S.Bilirubin c) S. Creatinine d) Acid phosphate
1. cd
2. ad
3. ab
4. bd

Correct answer: 1. cd